Carey coombs murmur is found  in:
1. Mitral Stenosis
2. Pulmonary Hypertension
3. Acute rheumatic fever
4. Aortic Stenosis

Correct answer: 3. Acute rheumatic fever

Explanation: Carey coombs murmur occurs in patients with mitral valvulitis due to acute rheumatic fever.